All are features of drowning except
1. Washer woman's hands
2. Cutis anserina
3. Pugilistic attitude
4. Cadaveric spasm

Correct answer: 3. Pugilistic attitude

Explanation: Appearance in fresh water drowning: Body and clothes found to be wet Washer woman's hands Postmortem hypostasis Cutis answering Grasping of mud, grass, etc (cadaveric spasm) Foam in nostrils and mouth Paltauf's hemorrhage Ref: TEXTBOOK OF FORENSIC MEDICINE AND TOXICOLOGY KRISHNAN VIJ FIFTH EDITION PAGE 140